In Against-the-rule astigmatism:
1. Vertical meridian is more curved than the horizontal
2. Horizontal meridian is more curved than the vertical
3. Both meridia are equally curved
4. None of the above

Correct answer: 2. Horizontal meridian is more curved than the vertical

Explanation: Ans. Horizontal meridian is more curved than the vertical